MRI finding in cavernous angioma
1. Reticular popcorn like pattern
2. Arterial feeders
3. Well defined Indus
4. Phebectasia

Correct answer: 1. Reticular popcorn like pattern

Explanation: MRI finding of cavernous malformation (cavernous angioma or covernoma) demonstrate typical 'Popcorn like' smoothly circumscribed, well - delineated complex lesion.